In a female who had Steroid Resistant ITP it was decided to perform splenectomy. On day 3 post laparoscopic surgery patient had fever. Which of the following scenarios is most likely?
1. Left lower lobe consolidation
2. Port site infection
3. Intra-abdominal collection
4. Urine for pus should be sent

Correct answer: 1. Left lower lobe consolidation

Explanation: Fever on post-operative day 3 after laparoscopic splenectomy suggests left lower lobe consolidation. Left lower lobe atelectasis Most common complication after Open Surgery; Pleural effusion and pneumonia also can occur. Hemorrhage can occur intra-operatively or postoperatively, presenting as subphrenic hematoma. Transfusions have become less common since the advent of Laparoscopic Surgery, although the indication for operation influences the likelihood of transfusion as well. Subphrenic abscess and wound infection are among the perioperative infectious complications.